Most common cause of hyperparathyroidism:
1. Carcinoma
2. Hyperplasia
3. Adenoma
4. Familial isolated hyperparathyroidism

Correct answer: 3. Adenoma

Explanation: Ans. C: Adenoma Hyperparathyroidism causes hypercalcemia through the excessive secretion of parathyroid hormone, usually by an adenoma (benign tumors) of the parathyroid glands (nearly 80%). Chief cell parathyroid hyperplasia accounts for nearly 15% cases.